Typical iris coloboma is located at
1. Supero - temporal quadrant
2. Supero - nasal quadrant
3. Infero - temporal quadrant
4. Infero - nasal quadrant

Correct answer: 4. Infero - nasal quadrant

Explanation: Iris coloboma :

It is congenital malformation due to failure to closure of choroidal or fetal tissue.
Most common site is infero - nasal quadrant.